All are true about 18 FDG Pet scanning except
1. Half Life Of 18F is 110 days
2. Brown adipose tissue shows normal symmetrical uptake
3. Detects pairs of gamma rays produced
4. Good functional detail but poor anatomical detail than CT

Correct answer: 1. Half Life Of 18F is 110 days

Explanation: Half Life of 18F is 110 min